Prospective screening is
1. Person screened for his own benefit
2. Person screened for other's benefit
3. Neonatal screening is prospective screening
4. None of the above

Correct answer: 2. Person screened for other's benefit

Explanation: Prospective screening → Person screened for other's benefit.
Eg: Screening for immigrants, Screening for corona virus.
Perspective screening → Person screened for his own benefit.
Eg: Neonatal screening, Mammography for breast tumour.